Characteristic Auto antibodies of Autoimmune Hepatitis include all of the following, Except:
1. Antinuclear Antibodies (ANA)
2. Anti SLA
3. Anti LKMI
4. ANCA

Correct answer: 4. ANCA

Explanation: Answer is D (ANCA) The characteristic autoantibodies in autoimmune hepatitis include ANA, Anti SLA and, Anti LKM antibodies and anti SMA antibodies Although p ANCA may be seen in patients with type I autoimmune hepatitis, these antibodies are not considered characteristic for any type of autoimmune hepatitis. Characteristic Autoantibodies for Auto immune Hepatitis Antinuclear Antibodies (ANA) Anti LKM Antibodies (Anti- Liver-kidney microscomal antibodies) Anti- SLA (Antibodies against Soluble Liver Antigens) Anti- SMA (Antibodies against smooth muscle Antigens ANA (Antinuclear Antibodies); anti- ASGPR (antibody to asialoglycoprotein receptor); c nil LC1 (antibody to Liver cytosol type 1); anti- LKMI (antibody to soluble liver kidney microsome Type I); anti, SLA (antibody to soluble liver antigen).